Morbid obesity causes death due to -
1. CVS complication
2. Pickwickian syndrome
3. Hypothyroid crisis
4. Cushing syndrome

Correct answer: 1. CVS complication

Explanation: The increased mortality due to obesity is brought about mainly by the increased incidence of Hypertension and coronary heart diseases . Ref-Park's textbook of Preventive and Social Medicine 24th edition. .